Matrix vesicles play important role in the mineralization of
1. Dentin
2. Enamel
3. Pulp
4. Periodontal ligament

Correct answer: 1. Dentin